Treatment of Carbon monoxide poisoning is:
1. Ascorbic acid
2. Intravenous methylene blue
3. 100% Oxygen
4. None of the above

Correct answer: 3. 100% Oxygen

Explanation: Treatment of carbon monoxide Treatment consists of removal from the source of exposure, immediate administration of high-flow or 100% O2 and aggressive supportive measures. i. Remove the victim from source of exposure.ii. Maintain patent airway, fresh air and ohobaric oxygen (100% oxygen at atmospheric pressure)Oxygen therapy is started if COHb > 10% and should be given for 4-6 hoursiii. Blood transfusion, if required.iv. Gastric lavage to prevent aspiration pneumonia.v. Cerebral edema is treated by mannitol Extra:Tests which may be used for the diagnosis of CO poisoning: Spectroscopy Hoppe-Seyler's test Kunkel's test Potassium ferricyanide test Katayama's test